Telomeraes are:
1. DNA dependent DNA polymerase
2. RNA dependent DNA polymerase
3. DNA dependent RNA polymerase
4. RNA dependent RNA polymerase

Correct answer: 2. RNA dependent DNA polymerase

Explanation: RNA dependent DNA polymerase